'Dinner fork deformity' is present in case of
1. Smith's fracture
2. Student's elbow
3. Colles' fracture
4. All of these

Correct answer: 3. Colles' fracture

Explanation: C i.e. Colle's fracture Mechanism of Injury & Displacements of Colle's Fracture On falling on to the out stretched hand with wrist in extension, the thener eminence takes the brunt of force. This results in fracture of lower end of radius, rotating it in to supination with the centre of rotation at the ulnar styloid. If the force continues the ulnar styloid is avulsed and triangular - fibro- cartilage- complex (TFCC) is inured. It results in dinner fork/silver fork/ spoon shaped deformityQ. With six displacement : Mnemonic - "DILS"